N-myc gene amplification is seen in which of the following tumors?
1. Burkitt's lymphoma
2. Small cell lung carcinoma
3. Neuroblastoma
4. All of the above

Correct answer: 3. Neuroblastoma

Explanation: N-myc amplification seen in neuroblastoma.
C-myc amplification - Burkitt's lymphoma
L-myc amplification - lung carcinoma